Disease(s) transmitted by Aedes aegypti include?
1. Yellow fever
2. Dengue
3. Chikungunya fever
4. All

Correct answer: 4. All

Explanation: Ans. is 'a' i.e., Yellow fever; 'b' i.e., Dengue; 'c' i.e.. Chikungunva fever